Primary hyperaldosteronism what is seen
1. Hyperkalemia
2. Hyponatremia
3. Maetabolic alkolosis
4. Fall in aldosterone with sodium loading

Correct answer: 3. Maetabolic alkolosis

Explanation: The clinical hallmark of mineralocorticoid excess is hypokalemic hypertension Due to excess mineralocorticoid action lead to potassium and H+ depletion sodiu retention Serum sodium tends to normal due to concurrent fluid retention Because of h+ depletion lead to metabolic alkalosis Clinical features: 1) hypokalemia 2) hypertension at young age generally <40 3) metabolic alkalosis 4)muscle cramps in severe case tetany due to metabolic alkalosis